Most widely accepted mechanism associated with nephropathy in chronic HBV patients is:
1. Cytopathic collisions induced by cellular virus infection
2. Deposition of immune complex particles attributed to viral antigens and host antibodies
3. Virus-induced specific immunological mechanisms damaging the kidney
4. Indirect adverse effects of virus-induced cytokines or mediators in renal tissue.

Correct answer: 2. Deposition of immune complex particles attributed to viral antigens and host antibodies

Explanation: HBV can cause renal damage in many ways. The different pathogenesis are described as the cause for it. They are, 1. Cytopathic collisions induced by cellular virus infection 2. Deposition of immune complex particles attributed to viral antigens and host antibodies 3. Virus-induced specific immunological mechanisms damaging the kidney 4. Indirect adverse effects of virus-induced cytokines or mediators in renal tissue The immunopathogenic mechanism is the most widely accepted mechanism that is described as the deposition of immune complexes of viral antigens and host antibodies. Ref: Hepat Mon 2009; 9 (2): 137-145.